True about Hirshprug's disease -
1. Aganglionic segment is contracted not dilated
2. Descending colon is most common site
3. Barium enema is diagnostic
4. Barium enema shows calcification

Correct answer: 1. Aganglionic segment is contracted not dilated

Explanation: Ans. is 'a' i.e., Aganglionic segment is contracted not dilated